Which of the following is true about Cones Fracture?
1. Volar angulation with Radial deviation occurs
2. It is an intra articular fracture
3. It may lead to gunstock deformity due to malunion
4. It is associated with dorsal angulation

Correct answer: 4. It is associated with dorsal angulation

Explanation: Answer- D. It is associated with dorsal angulation